Commonest cause of fungal uveitis is:
1. Candida
2. Aspergillus
3. Fusarium
4. Mucor mycosis

Correct answer: 1. Candida

Explanation: Ans. Candida